Rickettsial agent of Epidemic typhus isRickettsial agent of Epidemic typhus is
1. R. canorii
2. R. typhi
3. R. tsutsugamushi
4. R. prowazekii

Correct answer: 4. R. prowazekii